Peripheral retinal degeneration is most common in case of
1. Myopia
2. Presbyopia
3. Hypermetropia
4. Astigmatism

Correct answer: 1. Myopia

Explanation: A i.e. Myopia Ophthalmoscopic findings of pathological myopia are - - Myopic crescents (on temporal edge of optic disc), - Foster fuch's spot - (dark red patch at macula due to retinal neovascularization & choroidal haemorrhage), Cystoid degeneration, - Peripheral retinal degeneration (lattice & snail track degenerations)Q - Posterior staphyloma.